Which of the following symptoms suggests CHF in a newborn?
1. Diaphoresis with feedings
2. Fever
3. Cyanosis
4. Persistent irritability

Correct answer: 1. Diaphoresis with feedings

Explanation: The signs of congestive heart failure in the newborn are,Tachypnea TachycardiaHepatomegalyDiaphoresisFeeding difficultiesFailure to thriveSigns and symptoms of CHF occur when the heart is unable to meet the metabolic demands of the tissues.Clinical findings are frequently due to homeostatic mechanisms attempt to compensate for this imbalance.